At the start of inspiration, the intrapleural pressure at the base of the lungs is
1. 1.5 mm of Hg
2. 1 mm of Hg
3. 2.5 mm of Hg
4. 6 mm of Hg

Correct answer: 3. 2.5 mm of Hg

Explanation: At the start of inspiration intrapleural pressure of the lung is 2.5 mm HG Ref: guyton and hall textbook of medical physiology 12 edition page number:316,317,318